Which does not handle free radicals inside lens-
1. Vitamin A
2. Vitamin C
3. Vitamin E
4. Catalase

Correct answer: 1. Vitamin A

Explanation: Emzymatic antioxidant mechanisms :- Reduced glutathioe (most important), glutathione peroxidase, superioxide dismutase, catalase. Non-enzymatic defence mechanisms :- Vitamin C, Vitamin E, and possibly carotenoids. Ref: Various textbooks.